According to Borrman's classification, Linnitis plastica is
1. Type I
2. Type II
3. Type III
4. Type IV

Correct answer: 4. Type IV

Explanation: Classification of advanced gastric cancer according to Borrmann: Type Ipolypoid fungating Type IIulcerative with elevated distinct borders,Type IIIulcerative with indistinct bordersType IVdiffuse, indistinct borders (linitis plastica)Sabiston 20e pg: 1241